Which of the following present as acute abdomen
1. Acute intermittent porphyria
2. Tabes
3. Pneumonitis of lower lobe
4. All

Correct answer: 4. All